Among Bipyridyl herbicides, 1) Diquat is only half as toxic as paraquat 2) Diquat doesnot produce pulmonary toxicity
1. Both are true
2. Both are false
3. 1 is true, 2 is false
4. 2 is true, 1 is false

Correct answer: 1. Both are true

Explanation: Diquat is only half as toxic as paraquat Diquat doesnot produce pulmonary toxicity